Patient on risperidone may have
1. Weight loss
2. Neuroleptic malignant syndrome
3. Hypopigmentation
4. Prolactin deficiency

Correct answer: 2. Neuroleptic malignant syndrome

Explanation: Adverse effects of Risperidone: Weight gainHyperpigmentationRise in prolactin levelsNeuroleptic malignant syndromeRef: Harrison's 18/e Page no: 144, 3333